Site for 1st order bone grafting -
1. Pelvis
2. Tibial metaphysis
3. Medial malleolus
4. Femoral condyle

Correct answer: 1. Pelvis

Explanation: Option a, b, c, d & e all can be used as a source of bone graft.
However, most common and primary source of bone graft is iliac crest of pelvis.